Ideal time for doing quadruple test:-
1. 8-12 weeks
2. 11-15 weeks
3. 15-18 weeks
4. 18-22 weeks

Correct answer: 3. 15-18 weeks

Explanation: Triple test : screening test It's a screening test for down syndrome ( trisomy 21) Done between 16 and 18 weeks of gestation It involves estimation of three hormones : ( hCG|, AFP|, UE3| ) To the triple test, if the level of a fourth marker dimeric inhibin alpha are added, the test is called as QUAD test or Quadruple test ( inhibin A |) 1st trimester 2nd trimester Screening test Nuchal tranaslucency + - hCG + PAPP-A Quad test /tirple test Diagnostic test ( karyotyping ) Chronic villi sampling Amniocentesis